Ring sequestrum is seen in?
1. Typhoid osteomyelitis
2. Chronic osteomyelitis
3. Amputation stump
4. Tuberculosis osteomyelitis

Correct answer: 3. Amputation stump

Explanation: Excessive periosteal stripping is contraindicated as it may result in formation of ring sequestrum in amputation stump. Type of sequestrum Found In Ring sequestrum Amputation stump Around pin tracts ( external fixator) Tubular sequestrum Hematogenous osteomyelitis Segmental fractures ( middle segment) Rice grain sequestrum Tuberculosis Ref: Campbell's operative Orthopaedics 10/e, page 544.